Major goals of growth modification always is
1. to maximize skeletal changes and minimize dental changes
2. to maximize skeletal changes
3. to maximize dental changes
4. to maximize dental changes and minimize skeletal changes

Correct answer: 1. to maximize skeletal changes and minimize dental changes

Explanation: The major goal of growth modification is to maximize skeletal changes and minimize dental changes produced by treatment.
Eg: Rapid palatal expansion (RPE)
The goal of RPE is to expand maxilla by expansion at mid palatal suture (skeletal) and not just expanding the dental arch by moving the teeth relative to the bone (dental).